Which is the most common primary malignant bone tumor?
1. Osteosarcoma
2. Osteoclastoma
3. Secondaries
4. Multiple myeloma

Correct answer: 4. Multiple myeloma

Explanation: Secondaries are the most common malignant bone tumor. But the most common primary malignant bone tumor is Multiple myeloma..